Chi-square test tests:
1. Standard error of Mean
2. Standard error of Proportion
3. Standard error of difference between 2 Means
4. Standard error of difference between Proportions

Correct answer: 4. Standard error of difference between Proportions

Explanation: Standard error of difference between Proportions